Cyclops are intermediate hosts for -
1. Kala azar
2. Schistosomiasis
3. Dracunculus medinensis
4. Taeniasis

Correct answer: 3. Dracunculus medinensis